A 43-year-old man is hit in the face with a baseball bat and presents to the emergency department with massive facial swelling, ecchymosis, and an elongated face. There is mobility of the middle third of the face on digital manipulation of the maxilla. What is the likely diagnosis?
1. Lambdoid injury
2. Odontoid fracture
3. LeFort III fracture
4. Palatal split

Correct answer: 3. LeFort III fracture

Explanation: The physical findings are characteristics of a Le Fort III fracture (Figure below). In this injury, the fracture passes through maxilla and nasal bones and above the zygomatic bone.Classic Le Fort fracture patterns